Following is not a variety of entropion -
1. Pathological
2. Spastic
3. Cicatrix
4. Involutional

Correct answer: 1. Pathological

Explanation: Ans. is 'a' i.e., Pathological o Entropion refers to inward rolling or rotation of the lid margins towards the globe. Follow' ing types of Entropion are thereSenile entropion (Involutional)Cicatrical entropionSpastic entropionCongenitalo Most common variety affecting lower Lido Seen in elderlyo Most common variety affecting upper lido Seen in trachoma, bums pemphigus, Steven Johnson syndromeo Occurs due to spasm of orbicularis oculi muscleo Rareo Present since birthManagemento Tucking or plication of inferior lid retractors (Jones, Reech and Wobig operation)o Modified Wheeler's operationo Weiss operationo Bick's procedureManagemento Modified Burrow's operationo Joesche Arlt's operationo Modified ketessey operationo Resection skin, muscle and tarsus.Managemento Treat the cause of spasmo Injection of botulinum toxinManagemento Plastic reconstruction